If the 3rd supralabial scales are large and touching the eye and nasal shield, the snake may be
1. Krait
2. Pit viper
3. Saw scaled viper
4. Cobra

Correct answer: 4. Cobra

Explanation: If the head scales are large, it may be poisonous or non poisonous. Look for the 3rd supra labial and if it is touching the eye and the nasal shield, it is poisonous (cobra or coral snake) Ref: FORENSIC MEDICINE AND TOXICOLOGY Dr PC IGNATIUS THIRD EDITION PAGE 511